Which of the following agent is epileptogenic?
1. Propofol
2. Thiopentone
3. Dexmedetomidine
4. Pethidine

Correct answer: 4. Pethidine

Explanation: Ans: d. (Pethidine)Ref: Pharmacology and Physiology in Anesthetic Practice Stoelting, pg. 9290% of meperidine (pethidine) undergoes demethylation tonormeperidine. Normeperidine is one half as active asmeperidine as an analgesic. Normeperidine produces CNSstimulation.Normepiridine toxicity manifests as myoclonus.Seizures is most likely during prolonged administration of meperidine (pethidine) as during patient controlledanalgesia, especially in presence of impaired renal function.